Abnormal excretory function of hepatocytes assessed by -a) Increased PTb) Increased ALTc) Increased Alkaline Phosphatased) Increased gamma GT
1. cd
2. bc
3. bd
4. ac

Correct answer: 1. cd